Healing below knee joint is slow because of
1. Decreased subcutaneous fat
2. Increased movement
3. Weight bearing
4. Poor vascularity

Correct answer: 4. Poor vascularity

Explanation: D i.e. Poor vascularily